Manish, a patient of hypothyroidism was prescribed thyroxine. Which of the following is the most reliable guide for adjustment of thyroxine dose in him?
1. Pulse rate
2. Body weight
3. Serum thyroxine level
4. Serum TSH level

Correct answer: 4. Serum TSH level

Explanation: * TSH levels are elevated in a hypothyroid patient (because feedback inhibition by thyroid hormones is not present). * Administration of thyroid hormones (T3 and T4) decreases TSH by contributing to feedback inhibition. * If TSH levels are less than normal, it signifies overtreatment whereas high TSH level suggests inadequate treatment.